Neonatal meningitis is caused by all except?
1. N. meningitis
2. E. coli
3. Listeria
4. Group B streptococci

Correct answer: 1. N. meningitis

Explanation: a. N. meningitidis(Ref: Nelson's 20/e p 2936-2948, Ghai 8/e p 563-565)Common causes of Neonatal meningitis include E.coli, Listeria and Gr B Streptococci